All are cellular adaptations except
1. Hypertrophy
2. Hyperplasia
3. Necrosis
4. Metaplasia

Correct answer: 3. Necrosis

Explanation: Adaptations are reversible changes in the number, size, phenotype, metabolic activity, or functions of cells in response to changes in their environment.Hypertrophy is an increase in the size of cells resulting in the increase in the size of the organ.Hyperplasia is characterized by an increase in cell number because of the proliferation of differentiated cells and replacement by tissue stem cells.Shrinkage in the size of the cell by the loss of cell substance is known as atrophy.Metaplasia is a reversible change in which one adult cell type (epithelial or mesenchymal) is replaced by another adult cell type( Robbins Basic Pathology, 9th edition, page 3 )